A 6 months old child woke up in night, crying with abdominal pain, which got relieved on passing red stool. What is the most likely diagnosis?
1. Meckel's diverticulum
2. Intussusception
3. Malrotation
4. Intestinal obstruction

Correct answer: 2. Intussusception

Explanation: Ans. b. Intussusception